In disability rates, event- type indication are the following except-
1. Number of days of restricted activity
2. Limitation of activity
3. Bed disability days
4. Work loss days

Correct answer: 2. Limitation of activity

Explanation: .In disability rates, event- type indication are the following ,Number of days of restricted activity ,Bed disability days,Work loss daysor school days in specified period of time. ref:park's textbook,22ed,pg no 24